A 75-year old diabetic patient presents wain severe ear pain and granulation tissue at external auditory canal with facial nerve involvement. -The most likely diagnosis is:
1. Malignant otitis externa
2. Nasopharyngeal carcinoma
3. Acute suppurative otitis media
4. Chronic suppurative otitis media

Correct answer: 1. Malignant otitis externa

Explanation: Ans. a. Malignant otitis externa Presence of a painful lesion in the external ear with the evidence of granulation tissue and associated cranial nerve palsies (VII nerve) in a diabetic (or immunocompromised) patient suggest a diagnosis of malignant otitis externa